The prism produces displacement of the objects seen through it towards the:
1. Apex
2. Base
3. Sideways
4. None of the above

Correct answer: 1. Apex

Explanation: Ans. Apex